All are transmitted by mosquito except:
1. Dengue
2. Malaria
3. Relapsing fever
4. Yellow fever

Correct answer: 3. Relapsing fever

Explanation: Ans: c (Relapsing fever) Ref: Park, 19th ed, p. 635Relapsing fever is transmitted by louse and soft ticks.Malaria is transmitted by Anopheles mosquitoDengue is transmitted by Aedes mosquito as also is yellow fever.Arthropod borne diseases:Anopheles -MalariaAedes-Yellow feverDengue feverCulexJapanese encephalitisWest nile feverBancroftian filaria Chikungunya feverRift valley feverViral arthritisMansonoides-Bmgianfilariasis